Which of the following interleukin is secreted by T helper 2 cells?
1. IL 11
2. IL 7
3. IL 1
4. IL 13

Correct answer: 4. IL 13

Explanation: Ans. is 'd' i.e., IL 13